Which of the following autistic spectrum disorder carries good prognosis?
1. Childhood autism
2. Rett's disease
3. Heller's syndrome
4. Asperger's syndrome

Correct answer: 4. Asperger's syndrome

Explanation: Asperger's syndrome is characterized by impaired social interaction and stereotyped behavior but no intellectual disability and no language disturbances,hence carries good progrosis.